Osteosarcoma originates from which type of cells
1. Osteocytes
2. Osteoblasts
3. Chondrocytes
4. Osteoclast

Correct answer: 2. Osteoblasts

Explanation: BONE TUMOURS CELL OF ORIGIN BENIGN MALIGNANT OSTEOBLAST Osteoma OSTREOSARCOMA CHONDROBLAST CHONDROMA CHONDROSARCOMA CHONDROBLASTOMA OSTEOCHONDROMA OSTEOCLAST GIANT CELL TUMOR MALIGNANT GIANT CELL TUMOUR U M C (MEDULLA) ESINOPHILIC GRANULOMA MYELOMA ANGIOSARCOMA (EWING'S) LYMPHOMA (RCS) FIBROBLAST NON-OSSIFYING FIBROMA FIBROSARCOMA